Causative organism of Tinea imbricatum is
1. T. Verrucosum
2. T. Violaceum
3. T. Concentricum
4. T. rubrum

Correct answer: 3. T. Concentricum

Explanation: Tinea imbricatum:- Caused by T. concentricum. Ref:- Review of Dermatology by Alikhan; pg num:-305